True about helicobacter pylori are all except ?
1. Urea breath test is diagnostic
2. Gram negative, flagellate bacilli
3. Risk factor for development of adenocarcinoma of stomach
4. It provides life long immunity

Correct answer: 4. It provides life long immunity

Explanation: Ans. is 'd' i.e., It provides life long immunity . There is no effective immunity against H. pylori infection. The immune response to H. pylon includes both the production of antibody (local and systemic) and a cell-mediated response but is ineffective in clearing the bacterium. . H. Pylori has a protective role against gastroesophageal reflux disease (GERD) and adenocarcinoma of the esophagus and gastric cardia. . Antral predominant gastritis is most closely linked with duodenal ulceration, whereas pangastritis is linked with gastric ulceration and adenocarcinoma. Antral gastritis --> duodenal ulcer Pangastritis --> Gastric ulcer Gastric adenocarcinoma . IL - 1 fi is the major proinflammatory cytokine in peptic ulcer disease. About other options . Urea breath test is the most consistently accurate test. . H. pylori is a gram negative, flagellate bacillus which is motile by lophotrichous flagella.